Alarm clock headache is a feature of:
1. Trigeminal neuralgia.
2. Sphenopalatine neuralgia
3. Horner's syndrome.
4. Glossopharyngeal neuralgia

Correct answer: 2. Sphenopalatine neuralgia